Least common conduct disorder seen in girls:
1. Run away from home
2. High risk sexual behavior
3. Aggressive behavior involvement with law/antisocial
4. Emotional bullying

Correct answer: 3. Aggressive behavior involvement with law/antisocial

Explanation: Ans: (c) Aggressive behavior involvement with law/antisocialRef: 1. Keenan K, LoeberR, Green S, Conduct Disorder in Girls: A Review of the Literature, Clin Child Fam Psychol Rev 1999, 2: Page 3-192. Zahn-Waxler C, Shirtcliff EA, Marceau K, Disorders of Childhood and Adolescence: Gender and Psychopathology, Annu Rev Clin Psychol, 2008, 4, Page 275-303Behaviors which are disturbing to others are common in childhood.In this group, the characteristic psychopathology is the behaviour(s) itself.Following three disorders included:Attention deficit hyperactive disorderOppositional defiant disorderConduct disorderAttention deficit hyperactive disorder (ADHD) is characterized by:Poor attention, Hyperactivity and Impulsivity.Oppositional Defiant Disorder (ODD)Features of ADHD may be presentPlus, they do opposite of what being told and don't follow rules [defianf\Behavior mostly restricted in the family itselfConduct Disorder (CD)Features of ODD may be presentPLUSCruelty to other children/animalsAggressionEmotional bullyingLying, stealingSchool truancyRunning away from homeRisk-taking behavior like sexual promiscuitySpeed drivingEngaging in dangerous sports/gamesGood number of CD children goes on to develop Antisocial personality disorder (ASPD) in adulthood. Gender Differences of ODD/CD:Boys will present with more of externalizing behavior, like aggression to others, involvement with law/ police.Girls will have more internalizing problems, like suicide attempts, illegal relationships etc.Rx for ODD and CD (Juvenile delinquency):Behavior therapy (Contingency Management).